Most common complication of Whipple's procedure is":
1. Delayed gastric emptying
2. Bleeding
3. Exocrine insufficiency
4. Anastomotic leak

Correct answer: 1. Delayed gastric emptying

Explanation: Ans. (a) Delayed gastric emptyingRef: Sabiston 19/e p 1541Most important complications:* Delayed Gastric Emptying (18%)* Pancreatic leak and fistula (12%* Pancreatic hemorrhage* Bile leak* Abscess